Articular disc of TMJ receives insertion from which muscle:
1. Medial pterygoid
2. Lateral pterygoid
3. Massetor
4. Temporalis

Correct answer: 2. Lateral pterygoid